4-8 qualified persons, discuss a topic in front of a large audience, is an example of -
1. Symposium
2. Panel discussion
3. Workshop
4. Group discussion

Correct answer: 2. Panel discussion

Explanation: - panel discussion is a group approach in health communication. - in a panel discussion, 4-8 people who are qualified to talk about a topic sit and discuss a given problem or topic in front of a large group or audience. Reference : Park's textbook of preventive and social medicine, 23rd edition, pg no:865